A female with recurrent abortion and isolated prolonged APTT is most likely associated with:
1. Lupus anticoagulant
2. DIC
3. Von willebrand disease
4. Hemophilia

Correct answer: 1. Lupus anticoagulant

Explanation: Miscarriages are more common in women with systemic lupus erythematosus. Many of these women have antiphospholipid antibodies, which are a family of autoantibodies that bind to negatively charged phospholipids, phospholipids-binding proteins, or a combination of the two. A prolongation in the aPTT is observed that does not correct completely on mixing. Specialized testing such as the hexagonal phase phospholipid neutralization assay, the dilute Russell viper venom time, and platelet neutralization assays can confirm the presence of a lupus anticoagulant. Ref: (2010). Chapter 9. Abortion. In Cunningham F, Leveno K.J., Bloom S.L., Hauth J.C., Rouse D.J., Spong C.Y. (Eds), Williams Obstetrics, 23e.